Which of the following area is called a key area for orbital reconstruction:
1. Antero medial wall.
2. Postero medial wall.
3. Anterolateral wall.
4. Posterolateral wall.

Correct answer: 2. Postero medial wall.